A person hears voices before Jailing asleep, history of falls in day time sleep attacks. The probable diagnosis is
1. Narcolepsy
2. Schizophrenia
3. Delusion
4. Insomnia

Correct answer: 1. Narcolepsy

Explanation: (A) Narcolepsy# NARCOLEPSY:> It is a long-term neurological disorder that involves a decreased ability to regulate sleep-wake cycles.> Symptoms are periods of excessive daytime sleepiness that usually last from seconds to minutes and may occur at any time.> 70% of Narcolepsy people experience episodes of sudden loss of muscle strength (cataplexy).> Spells can be brought on by strong emotions.> Less commonly there may be inability to move or vivid hallucinations while falling asleep or waking up.> Narcolepsy people tend to sleep about the same number of hours per day as people without, but the quality of sleep tends to be worse.# "Tetrad of Narcolepsy: 1. 1. Cataplexy, 2. Sleep paralysis, 3. Hypnagogic hallucinations, and 4. Excessive daytime sleepiness.> Other symptoms: automatic behaviors and night-time wakefulness.